About RCT all are true except
1. Baseline characteristics are comparable
2. Dropouts are excluded from the study
3. Sample size depends on type of study
4. Bias eliminated by double blinding

Correct answer: 2. Dropouts are excluded from the study